Sling psychrometer is used for measuring ?
1. Air velocity
2. Rain fall
3. Median radiant temperature
4. Relative humidity

Correct answer: 4. Relative humidity

Explanation: Ans. is 'd' i.e.. Relative humidity